Which of the following sites is not involved in a posterior cerebral artery infarct:
1. Midbrain
2. Thalamus
3. Temporal lobe
4. Anterior Cortex

Correct answer: 4. Anterior Cortex

Explanation: Answer is D (Anterior Cortex) : Anterior Cortex (Frontal lobe) is not involved in posterior cerebral artery infarct Posterior Cerebral Artery infarcts The posterior Cerebral Artery supplies the midbrain, thalamus, lateral geniculate bodies, posterior portion of choroid plexus, occipital lobes, inferior and medial aspect of the temporal lobe and posterior inferior areas of the parietal lobe. Occlusion of the Posterior Cerebral Artery usually results in two common clinical syndromes depending on the areas involved P1 Syndrome Occlusion of the proximal segment of PCA from its origin to its union with the posterior communicating artery P1 syndrome present primarily with the following signs Midbrain signs Thalamic signs Subthalamic signs P2 Syndrome Occlusion of the distal segment of PCA distal to the junction of PCA with the posterior communicating artery P2 syndrome presents primarily with the following signs Temporal lobe signs Occipital lobe signs